Th2 helper T cells function in:
1. Cellular immunity
2. Humoral immunity
3. Induce cellular immunity by activation of cytotoxic T cells
4. Both humoral and cell mediated immunity

Correct answer: 2. Humoral immunity